Syndrome of inappropriate antidiuretic hormone secretion (SIADH) causes
1. Euvolemic hyponatremia
2. Hypovolemic hyponatremia
3. Hypervolemic hyponatremia
4. Hypernatremia

Correct answer: 1. Euvolemic hyponatremia

Explanation: The syndrome of inappropriate antidiuresis (SIAD) is the most frequent cause of euvolemic hyponatremia. Glucocorticoid deficiency, Hypothyroidism, Stress, Drugs are other causes of euvolemic hyponatremia. Common causes of SIAD include pulmonary disease (e.g., pneumonia, tuberculosis, pleural effusion) and central nervous system (CNS) diseases (e.g., tumour, subarachnoid haemorrhage, meningitis). SIAD also occurs with malignancies, most commonly with small-cell lung carcinoma (75% of malignancy-associated SIAD) SIAD is also a frequent complication of certain drugs, most commonly the selective serotonin reuptake inhibitors (SSRIs). Ref: Harrison 19e pg: 300